Which is a GABA transaminase inhibitor?
1. TCA
2. Sertaline
3. Valproate
4. Gabpentin

Correct answer: 3. Valproate

Explanation: Ans. is 'c' i.e., Valproate orT GABA level is increased by Valproate and vigabatrine --> by inhibiting GABA transaminase Gabapentin --> by increasing synaptic vesicle release of GABA.